Painful matted suppurative lymphadenitis after healing of genital lesion is seen in:
1. Syphilis
2. Chancroid
3. LGV
4. Donovanosis

Correct answer: 3. LGV

Explanation: Ans. is. 'c' i. e., LGV